Anterior cerebral artery occlusion can cause:
1. Urinary retention
2. Contralateral lower leg weakness
3. Hemianaesthesia of opposite side of face
4. Hemianopia

Correct answer: 2. Contralateral lower leg weakness

Explanation: Answer is B (Contralateral lower leg weakness): Anterior cerebra! artery chiefly supplies the medial surface of the cerebral cortex (medial frontal lobe, medial parietal lobe, corpus callosum) The paracentral lobule is located on the medial frontal lobe and is involved in anterior cerebral artery occlusion. This leads to urinary incontinence and not urinary retention and contralateral lower limb weakness. Hemianaesthesia of opposite side of face is caused by involvement of the lateral surface of sensory cortex in the parietal lobe (middle cerebral Artery) Hemionopia (Homonymous) is caused by involvement of the occipital lobe (position cerebral Artery).